Presence of Birbeck granules in histopathological examination suggests:
1. Plasmacytoma.
2. Burkett lymphoma.
3. Langerhan cells histiocytosis.
4. All of the above

Correct answer: 3. Langerhan cells histiocytosis.

Explanation: The old term histiocytosis X is replaced by new term called Langerhans cell histiocytois (LCH). The presence of birbeck granules is characteristic finding in LCH.